Lymphatic drainage of lateral wall of nose -
1. Submandibular nodes
2. Retropharyngeal nodes
3. Deep cervical nodes
4. All of the above

Correct answer: 4. All of the above

Explanation: Ans. is 6d' i.e., All of the above Lymphatic drainage of noseo Lymphatic drainage of nose is as follows -i) Anterior half of nasal cavity (Both septum and lateral wall) - Submandibular nodesii) Posterior half of nasal cavity (Both septum and lateral wall) - Retropharyngeal nodes and upper deep cervical nodes.